On 5th postoperative day after laparoscopic cholecystectomy, a 50 years old lady presented with . upper quadrant pain with fever and 12 cm subhepatic collection on CT and ERCP shows cystic duct leak. The best management is -
1. Immediate laparotomy
2. Percutaneous drainage of fluid
3. Laparotomy and surgical exploration of bile duct and T-tube insertion
4. All

Correct answer: 2. Percutaneous drainage of fluid

Explanation: Ans : (b) i.e. percutaneous drainage of fluid